Iron Deficiency anemia is commonly caused by:
1. Enterobius vermicularis
2. Taenia solium
3. Ancylostoma duodenale
4. All of the above

Correct answer: 3. Ancylostoma duodenale

Explanation: Ans. C: Ancylostoma duodenale An adult Ancylostome (hookworm) can suck about 0.2 ml blood a day, while the smaller necator sucks in about 0.03 ml per day. These worms frequently leave one site and attach themselves to other site. As the secretions of the worm contain anticoagulant activity, bleeding from the site may continue for several days adding to the blood loss. This chronic blood loss over a period of time leads to a microcytic hypochromic anemia. Pinworm (Enterobius vermicularis) causes irritation and pruritis in the perianal and perineal area. It may cause symptoms of chronic salpingitis and appendicitis. Taenia solium causes cysticercus cellulosae commonly in the subcutaneous tissues and muscles. It may also affect eye, brain, heart, lung or liver.